All of the following predispose to fibroid except.
1. Obesity
2. Early menopause
3. Nulliparity
4. African females

Correct answer: 2. Early menopause

Explanation: Ans. is b, i.e. Early Menopause-Fibroid is an estrogen and progesterone dependent tumor. Hence early menarrche and late menopause predispose to fibroid and not the vice versa.